chelioscopy is the study of -
1. Foot prints
2. Palatal prints
3. Finger prints
4. Lip prints

Correct answer: 4. Lip prints

Explanation: Lip prints